Hypoceruloplasminimia is associated with which abnormality?
1. Menkes disease
2. Alzheimer's disease
3. Schizophrenia
4. Obsessive-compulsive disorder

Correct answer: 1. Menkes disease

Explanation: (A) Menkes disease # Deficiency or Lower-than-normal ceruloplasmin levels may indicate the following:> Wilson disease copper storage disease)> Menkes disease (Menkes kinky hair syndrome) (rare - UK incidence 1/100,000)> Overdose of Vitamin C> Copper deficiency> Aceruloplasminemia> Excess or Greater-than-normal ceruloplasmin levels may indicate or be noticed in: copper toxicity / zinc deficiency pregnancy oral contraceptive pill use lymphoma acute and chronic inflammation (it is an acute-phase reactant) rheumatoid arthritis Angina Alzheimer's disease Schizophrenia Obsessive-compulsive disorder